Bilateral damage to lateral hypothalamus causes?
1. Hyperthermia
2. Hypothermia
3. Anorexia
4. Increased sexuality

Correct answer: 3. Anorexia

Explanation: Ans. is'c' i.e., AnorexiaRef: Psychology Arts p'151)Feeding center is located in lateral hypothalamus, thus its damage will cause anorexia'Satiety center is located in the ventromedial hypothalamus, thus damage to this area causes overeating.